Triage means
1. First come first serve
2. Labeling the death patients
3. Treating person with better prognosis
4. Identifying seriously ill who needs treatment first.

Correct answer: 4. Identifying seriously ill who needs treatment first.